Involved in transport across nucleus:
1. Importins
2. Local signals
3. Ran proteins
4. All of the above

Correct answer: 4. All of the above

Explanation: Large and elaborate nuclear pore complexes (NPCs) perforate the nuclear envelope in all eukaryotes. Each NPC is composed of a set of approximately 30 different proteins, or nucleoporins Proteins to be imported (cargo molecules) to nucleus carry a nuclear localization signal (NLS) To initiate nuclear import, most nuclear localization signals must be recognized by nuclear import receptors called importins Proteins similar to importins, referred to as exportins, are involved in the export of many macromolecules that carry nuclear export signals The family of importins and exportins are referred to as karyopherins Monomeric GTPase Ran is required for both nuclear import and export